Which among the following is used as criteria to diagnose PID?
1. Oral temperature >38.3oC (101.6oF)
2. Cervical friability
3. Abundant WBCs on saline microscopy of cervical secretions
4. All of the above

Correct answer: 4. All of the above

Explanation: All of the above factors are used as criteria to diagnose PID. Criteria to diagnose PID: Histopathologic evidence of Endometritis on biopsy. Imaging study (TVS/MRI) evidence of thickened fluid filled tubes = tubo ovarian abscess Laparoscopic evidence of PID Minimum criteria: Lower abdominal tenderness Adnexal tenderness Cervical motion tenderness Additional Criteria: Oral temperature >38.3oC Mucopurulent cervical or vaginal discharge, Cervical friability Raised ESR or CRP Laboratory documentation of positive cervical infection with Gonorrhoea or C.trachomatis Ref: Williams Gynaecology 3rd edition Pgno: 66